In a normal child who weights 15 kg, the daily fluids maintenance requirement will be approximately
1. 100 mL
2. 1250 mL
3. 1500 mL
4. 1750 mL

Correct answer: 2. 1250 mL

Explanation: For infants 3.5 to 10 kg the daily fluid requirement is 100 mL/kg. For children 11-20 kg the daily fluid requirement is 1000 mL + 50 mL/kg for every kg over 10. Reference: GHAI Essential pediatrics, 8th edition